1st response to hypoglycemia
1. Increased insulin
2. Increased glucagon
3. Increased cortisol
4. Increased nor epinephrine

Correct answer: 2. Increased glucagon

Explanation: Hypoglycemia is defined as the condition of low blood sugar. Hypoglycemia occurs when blood sugar (or blood glucose) concentrations fall below a level necessary to properly support the body's need for energy and stability throughout its cells.Carbohydrates are the main dietary source of the glucose that is manufactured in the liver and absorbed into the bloodstream to fuel the body's cells and organs. Glucose concentration is controlled by hormones, primarily insulin and glucagon. Glucose concentration also is controlled by epinephrine (adrenaline) and norepinephrine, as well as growth hormone. If these regulators are not working properly, levels of blood sugar can become either excessive (as in hyperglycemia) or inadequate (as in hypoglycemia).Ref: Ganong's review of medical physiology;24th edition; page no-448